Which of these drugs DO NOT decrease angiotensin Il activity
1. Enalapril
2. Valsartan
3. Nesiritide
4. Omapatrilat

Correct answer: 3. Nesiritide

Explanation: (Ref: Katzung 10/e p205, 286) ACE inhibitors and AT1, antagonists decrease angiotensin Il activity. Omapatrilat is a vasopeptidase inhibitor that acts by inhibiting two enzymes, ACE and NEP. As it inhibits ACE, it may also decrease angitotensin II activity. Nesiritide is a recombinant BNP and has no effect on angiotensin II activity.